Most common nerve involved in intracranial aneurysm is -
1. Trochlear
2. VII
3. VIII
4. Occulomotor

Correct answer: 4. Occulomotor